Which rickettesiae are able to grow in cell free media -
1. R. Quintana
2. R. Rickettsii
3. R. Typhi
4. R. Tsutsugamushi

Correct answer: 1. R. Quintana